Vaccine contraindicated in pregnancy is the following:
1. Diphtheria
2. Hepatitis-B
3. MMR
4. Killed polio vaccine

Correct answer: 3. MMR

Explanation: Killed virus, toxoid, or recombinant vaccines may be given during pregnancy. Diphtheria and tetanus toxoid, hepatitis B vaccine series, and killed polio vaccine may be administered during pregnancy to women at risk. Live attenuated vaccines (varicella, measles, mumps, polio, and rubella) should be given 3 months before pregnancy or postpartum. Live virus vaccines are contraindicated in pregnancy secondary to the potential risk of fetal infection. Secondary prophylaxis with immune globulin is recommended for pregnant women exposed to measles, hepatitis A, hepatitis B, tetanus, chicken pox, or rabies. Ref: Bernstein H.B., VanBuren G. (2013). Chapter 6. Normal Pregnancy and Prenatal Care. In A.H. DeCherney, L. Nathan, N. Laufer, A.S. Roman (Eds), CURRENT Diagnosis & Treatment: Obstetrics & Gynecology, 11e.